Which one of the following statements is best suited for isolated polymyalgia rheumatica?
1. Temporal artery biopsy is necessary to confirm the diagnosks
2. Response to oral corticosteroids typically occurs within seven days
3. Corticosteroid therapy should be withdrawn after six month
4. Sudden uniocular blindness suggests steroid induced cataract

Correct answer: 2. Response to oral corticosteroids typically occurs within seven days

Explanation: Patients with isolated polymyalgia rheumatica respond promptly to prednisone, which can be started at a lower dose of 10-20 mg/dl . Similar to giant cell arteritis, the ESR can serve as a useful indicator in monitoring and prednisone reduction. Recurrent polymyalgia symptoms develop in the majority of patients during prednisone tapering. One study of weekly methotrexate found that the use of this drug reduced the prednisone dose on average by only 1 mg and did not decrease prednisone-related side effects. A randomized trial in polymyalgia rheumatica did not find infliximab to lessen relapseor glucocorticoid requirements. Ref - Harrisons 20e p2585